Normal glomerular filtration rate (GFR) in men is
1. 125ml/min
2. 200 ml/min
3. 7.5 L/min
4. 8 L/hour

Correct answer: 1. 125ml/min

Explanation: (125 mi/min) (706-GN) (646- Ganong 23rd)* The normal value of GFR is 125 ml/min or 180 L/day* A rate of 125 ml/min is 7.5 L/hour or 180 L/day, whereas the normal urine volume is about 1 L/d. Thus 99% or more of the filtrate is normally reabsorbed.* At the rate of 125 ml/min, the kidneys filter in 1 day an amount of fluid equal to 4 times the total body water, 15 times the ECF volume, and 60 times the plasma volume* The normal filtration fraction varies from 15 to 20% (251-SL)* Blood flow to the two kidney is normally about 22% of the cardiac output or 1100 ml/min (281 -Gyton 10th)